Best investigation for cardiac temponade is
1. 2-D Echocardiography
2. M-Mode Echocardiography
3. Real time echocardiography
4. USG

Correct answer: 1. 2-D Echocardiography

Explanation: A i.e. 2 D Echocardiography M- Mode Echo is also k/a One dimensional echo, it uses stationary beam so informations are updated very rapidly. It is often more conventient for assessing distance & motion of selected cardiac structure. 2-Dimensional echo has replaced it for most diagnostic purposes. It is expected that 3D imaging will replace most 2D imaging in future. 2-D-Echocardiography is investigation of choice for: Pericardial effusionQ Cardiac TemponadeQ Valvular heart ds Cardiomyopathy